Tuberculosis pleural effusion is characterized by all EXCEPT:
1. LDH > 60% of serum LDH
2. Hemorrhagic fluid
3. Increased mesothelial cells
4. Increased deaminase

Correct answer: 3. Increased mesothelial cells

Explanation: Ans. C i.e. Increased mesothelial cells